Which one of the following is an environmental factor associated with mental illness?
1. Emotional stress
2. Frustration
3. Broken home
4. all of the above

Correct answer: 4. all of the above

Explanation: the social and environmental factors associated with mental health comprises of worries, anxieties, emotional stress , broken homes , frustration, ,tension,unhappy, marriages, poverty, industrialization environmental factors other than psychosocial ones capable of producing abnormal human behaviour are toxic substances (carboun disulfide), psychotropic drugs are barbiturates, thiamine deficiency, measles and rubella infection, radiation ref ;(page no;832)23rd edition of PARK's textbook of Preventive and Social medicine